Inhibitor of apoptosis:
1. Bad
2. Bcl-2
3. Bax
4. All of the above

Correct answer: 2. Bcl-2

Explanation: Bcl-2 gene is antiapoptotic.
Bcl-2 family members include Bax, Bak, Bad, Bid, Bik, Noxa, Puma (Proapoptotic) and Bcl-2, Bcl-X, Mcl-1 (Antiapoptotic).